All are dopaminergic agonists used for parkinsonism EXCEPT
1. Bromocriptine
2. Ropinerole
3. Pramipexole
4. Selegiline

Correct answer: 4. Selegiline

Explanation: Selegiline REF: KDT 6th Ed p. 415 DRUGS USED FOR PARKINSONISM Drugs affecting dopaminergic system Dopamine precursor Levodopa Peripheral decarboxylase inhibitors Carbidopa , benzaseride Dopaminergic agonists Bromocriptine , ropinerole , pramipexole MAO-B inhibitor Selegiline COMT inhibitor Entacapone , tolcapone Dopamine facilitator Amantadine Drugs affecting brain cholinergic system Central anticholinergics Trihexyphenidyl , procyclidine , biperidin Antihistamines Orphenadrine , promethazine